Ferric chloride test in PKU gives
1. Green
2. Red
3. Yellow
4. Blue

Correct answer: 1. Green

Explanation: Urine of the patient contains phenylketones about 500- 3000 mg/day . This could be detected by adding a drop of ferric chloride to the urine . A transient blue - green color is a positive test. But this is a less reliable test. Ref : DM.VASUDEVAN.TEXTBOOK ; SEVENTH EDITION ; PAGE NO : 237.